Nasal intubation is contra indicated in
1. CSF Rhinorrhea
2. Fracture cervical spine
3. Fracture mandible
4. Short neck

Correct answer: 1. CSF Rhinorrhea

Explanation: A i.e. CSF Rhinorrhea Nasal (naso-tracheal) intubation is required when oral (orotracheal) tube will interfere with surgery (eg intraoral surgery) and may be indicated when oral intubation is difficult (eg inability to open month). It provides good oral hygiene and more secure fixation with less chances of displacement and extubation. But it is more commonly a/w significant nasaVmucosal bleeding, submucosal placement, transient bacteremia (infection), sinusitis and otitis mediaQ. These side effects make nasotracheal intubation contraindicated in base of skull fracture, CSF rhinorrheaQ, nasal abnormalities and trauma and coagulopathy.